A 7-year-old boy was suffering from a severe infection of the middle ear (otitis media), which spread to the mastoid air cells (mastoiditis). Surgery was required but resulted in the following: right corner of the mouth drooping, unable to close his right eye, food collection in his right oral vestibule. Which nerve was injured?
1. Glossopharyngeal
2. Vagus
3. Facial
4. Maxillary division of the trigeminal nerve

Correct answer: 3. Facial

Explanation: A lesion of the facial nerve is likely to lead to the symptoms described (drooping mouth, unable to close right eye, and food collection in the oral vestibule) because the muscles of facial expression are paralyzed. There is a bony prominence over the facial nerve located on the medial wall of the middle ear. Because of its close proximity, the facial nerve can be damaged due to otitis media. The other nerves listed are not located in close proximity to the middle ear and, if injured, would not present with the symptoms described.